Most common type of finger impression is:
1. Arch
2. Whorl
3. Loop
4. Composite

Correct answer: 3. Loop

Explanation: Loop